Which of the following is NOT a component of Saint's triad?
1. Esophageal diverticula
2. Hiatus hernia
3. Gall stones
4. Colonic diverticula

Correct answer: 1. Esophageal diverticula

Explanation: Saint's triad is a medical condition of the concurrence of hiatus hernia,gallstones& diverticulosis of colon. Reference:SRB's manual of surgery,5th edition,page no:641.